Rasmussen's aneurysm involves?
1. Bronchial aneurysm
2. Pulmonary aneurysm
3. Vertebral artery
4. Posterior intercostal artery

Correct answer: 2. Pulmonary aneurysm

Explanation: In post primary pulmonary TB,hemoptysis can occur from rupture of a dilated vessel in a tuberculous cavity(Rasmussen's aneurysm) Reference:Harrison's medicine-18th edition,page no:1345.